Which causes raised angiotensin in blood -a) Increased blood volumeb) Raised cardiac outputc) Decreased blood pressured) Increased sympathetic tone
1. ab
2. bc
3. cd
4. ac

Correct answer: 3. cd

Explanation: Function of Renin is to convert Angiotensinogen to Angiotensin I. So whenever Renin secretion is increased, Angiotensin I level also increases. Factors which reduce GFR or reduce Na+ delivery to distal tubule causes Renin secretion. Reduced BP or increased sympathetic tone reduces GFR.